An 18-year-old woman develops weakness, weight gain, amenorrhea, abdominal striae, and behavioral abnormalities. Physical examination reveals lateral visual field loss. Which of the following is the most likely diagnosis?
1. a functional pituitary tumor
2. adrenal hyperplasia
3. anorexia nervosa with bulimia
4. glioblastoma multiforme

Correct answer: 1. a functional pituitary tumor

Explanation: The patient has Cushing's syndrome secondary to an adrenocorticotropic hormone (ACTH)-secreting pituitary tumor. Relatively few of such patients have a large pituitary tumor that affects the visual pathways. Over 50% have a microadenoma, which is under 5 mm in diameter.